Intracranial calcification in skull X-rays may be:
1. Pineal calcifications
2. Dural calcifications
3. Cysticercosis
4. All of the above

Correct answer: 4. All of the above

Explanation: Ans. All of the above